Which of the following parasite causes autoinfection
1. Giardia lambella
2. Isospora belli
3. Balantidium coli
4. Taenia solium

Correct answer: 4. Taenia solium